Weight of placenta at term:
1. 300 g
2. 500 g
3. 700 g
4. 900 g

Correct answer: 2. 500 g

Explanation: Ans: b (500 g) Ref: Dutta, 6th ed, p. 29Placenta at term:Diameter: 15-20 cmWeight: 500 gLength of the cord: 50 cmAbout 4/5lhof placenta is fetal in origin.Placenta is a specialized part of chorion. Placenta separates through decidua spongiosum.Blood flow through placenta is 400 ml/min.Terminal villi show a zones for gas exchange and b zones for hormone synthesis.Area of fibrinoid degeneration where trophoblast cells meet decidua is called Nitabuch layer.Note: Nitabuch layer is absent in placenta accreta.